Which enzyme is not release as proenzyme?
1. Pepsin
2. Amylase
3. Trypsin
4. Chymotrypsin

Correct answer: 2. Amylase

Explanation: Ptyalin(alpha amylase) aids digestion of starch to produce dextrin and maltose. Ref.Textbook of physiology by AK Jain 7th edition page no.209